All are true regarding brachial plexus injury, except:
1. Preganglionic lesions have a better prognosis than postganglionic lesions
2. Erb's palsy causes paralysis of the abductors and external rotators of the shoulder
3. In Klumpke's palsy, Horner's syndrome may be present on the ipsilateral side
4. Histamine test is useful to differentiate between the preganglionic and postganglionic lesions

Correct answer: 1. Preganglionic lesions have a better prognosis than postganglionic lesions

Explanation: Preganglionic lesions have a poor prognosis as these do not recover and are surgically irreparable. Postganglionic lesions have better prognosis than preganglionic lesions and histamine test is useful in making the distinction